Which of the following has no Tm value ?
1. Albumin, arginine
2. Betahydroxybutyrate, glucose
3. Glucose haemoglobin, phosphate
4. Urea

Correct answer: 4. Urea

Explanation: D i.e. Urea